A patient committed suicide by shooting a bullet into his right temple. On post-mortem examination, the skull was burst open. There was charring and cherry red discoloration along the track of bullet and the weapon was firmly clasped in the right hand of deceased. The bullet was fired from what distance
1. Contact shot
2. Close shot at a distance of one feet from hand
3. Shot within range of smoking
4. Shot within range of tattooing

Correct answer: 1. Contact shot

Explanation: Ans. a. Contact shot In a contact shot, the discharge from the muzzle, consisting of flame, powder grains, metallic particles, and hot gases are blown into the track of the bullet. This leads to charring of the track inside and pink coloration owing to formation of carboxyhemoglobin. Gases entering the track in a contact shot are under high pressure, which may lead to 'bursting fracture' of skull